Most common complication of extracapsular cataract surgery is -
1. Retinal detachment
2. Opacificatiton of posterior capsule
3. Vitreous haemorrhage
4. None

Correct answer: 2. Opacificatiton of posterior capsule

Explanation: In extracapsular cataract extraction (ECCE), major portion of anterior capsule with epithelium, nucleus and cortex are removed; leaving behind intact posterior capsule. So, opacificatiton of posterior capsule is the most common complication of extracapsular cataract surgery. Corneal complications and iritis/other inflammation are common post-operative complications.